Which of the following is an example of Type II hypersensitivity reaction
1. PSGS
2. SLE
3. Serum sickness
4. Good pasture syndrome

Correct answer: 4. Good pasture syndrome

Explanation: Good pasture syndrome is due to Type II hypersensitivity reaction.